X-ray appearance in hyaline membrane disease is ?
1. Homogenous ground glass appearance
2. Reticulonodular shadow
3. Normal X-ray
4. All

Correct answer: 4. All

Explanation: Ans. is 'a' i.e., Homogenous ground glass appearance; 'b' i.e., Reticulonodular shadow; `c' i.e., Normal X-ray X-ray appearance in HMD o The initial roentgenogrom is occasionally normal, with typical pattern developing at 6-12 hours.____ Nelson 733 o Reticulogranular pattern o Air bronchogram o Ground glass opacities o In severe case whiteout lung